Weils' disease is caused by -
1. Leptospira
2. Listeria
3. Mycoplasma
4. Legionella

Correct answer: 1. Leptospira

Explanation: Ans. is 'a' i.e., Leptospira Leptospirosis and Weil's diseaseo Incubation period -o 1 - 2 weeks.o Leptospirosis may present as one of the two clinical types :# Anicteric form # Icteric form (Weil's disease)Laboratory findingso Tesro Leukocytosiso Mild thrombocytopeniao T Serum bilirubin and alkaline phosphataseo Increased prothrombin timeo BUN and creatinine may be raised.